A person with normal lung compliance and increased airway resistance. What is the most economical way of breathing?
1. Rapid and deep
2. Rapid and shallow
3. Slow and deep
4. Slow and shallow

Correct answer: 3. Slow and deep

Explanation: Airway resistance is approximately 1-1.5 cm H2O/L/s in adults. The reciprocal of resistance is airway conductance. Airway resistance in patients with asthma and chronic bronchitis is increased. Airway resistance in patients with emphysema is also increased because of loss of elastic tissue that normally supports and keeps open smaller nonrigid airways. During quiet inspiration and expiration there is probably little change in airway resistance because the airways become longer as well as wider. Ref: DePalo V.A., McCool F.D. (2003). Chapter 1. Pulmonary Anatomy & Physiology. In M.E. Hanley, C.H. Welsh (Eds), CURRENT Diagnosis & Treatment in Pulmonary Medicine.